True about bile acids is?
1. 7a hydroxylase is the rate limiting enzyme in the synthesis
2. They are derived from cholesterol
3. Cholic acid is primary bile acid
4. All of the above

Correct answer: 4. All of the above

Explanation: Ans. (d) All of the aboveRef Harpers Biochemistry 28/e, chapter 26